A 26-year-old heavyweight boxer was punched on his mandible, resulting in a slight subluxation (dislocation) of the atlantoaxial joint. The consequence of the injury was decreased range of motion at that joint. What movement would be most affected?,
1. Extension
2. Abduction
3. Adduction
4. Rotation

Correct answer: 4. Rotation

Explanation: The atlantoaxial joints are synovial joints that consist of two plane joints and one pivot joint and are involved primarily in rotation of the head. Other movements do not occur at this joint.